Plague is transmitted by -
1. Mite
2. Flea
3. Sand fly
4. None

Correct answer: 2. Flea

Explanation: - plaque is primarily a zoonoses caused by Yersenia pestis. -The commonest and the most efficient vector of the plaque is rat flea, Xenopsylla cheopis. Reference : Park's textbook of preventive and social medicine, 23rd edition, pg no:293